Stratosphere sign is seen in
1. Pleural effusion
2. Pneumothorax
3. Rib fracture
4. Bronchogenic carcinoma

Correct answer: 2. Pneumothorax